Which of the following cannot be assessed with cephalometric radiograph?
1. Mandibular retrusion
2. Vertical facial disproportion
3. Incisor position & anguLation
4. Adequacy of dental arch perimeter

Correct answer: 4. Adequacy of dental arch perimeter